Role of nitrates in congestive cardiac failure is due to?
1. Direct inotropic action
2. Decrease preload
3. Decrease afterload
4. Coronary vasodilatation

Correct answer: 2. Decrease preload

Explanation: Ans. is 'b' i.e., Decrease preload